All of following cause intravascular hemolysis, except-
1. Mismatched blood transfusion
2. Paroxysmal cold hemoglobinuria
3. Thermal bums
4. Hereditary spherocytosis

Correct answer: 4. Hereditary spherocytosis

Explanation: Ans. is 'd' i.e., Hereditary spherocytosis Hemoglobinopathies including thalassemia cause extravascularhemolysis and not intravascular hemolysis.||Causes of intravascular hemolysiso Blood transfusiony ABO mismatched transfusiony Infected bloodo Thermal bumso Snake biteso Sepsisy Bacterial/parasitic infections y Clostridial sepsisy Malariay Bartonellosisy Mycoplasma pneumoniao Mechanical heart valveso Paroxysmal hemoglobinuriay PNHy PCHCauses of extravascular hemolysiso Blood and viral infectionsy Malariay Mycoplasma pneumoniaey Infectious mononucleosiso Drua-inducedhemolvsisy G6PD/GSH deficiencyy Autoimmune drug reactionsy Strong oxidant drugs/chemicaio Autoimmune hemolvsisy Warm-reacting (IgG) AIHAy Cold-reacting (IgM) AIHAo Hemoslobinopathiesy Thalassemiao Membrane structural defecty Hereditary sperocytosisy Hereditary spherocytosisy Acanthocytosiso Environmental disordersy Malignancy/DICy TTP/HUSy Eclampsia or Preechlampsia